Unilateral renal agenesis is associated with:
1. Polycystic disease of pancreas
2. Hiatus Hernia
3. Single umbilical artery
4. Hypogonadism

Correct answer: 3. Single umbilical artery

Explanation: Malformations associated with unilateral renal agenesis are: Single umbilical artery Contralateral vesicoureteric reflux Absent ureter Absent ipsilateral vas deferens.